All ofthe following statements about cochlear implants are true, except-
1. Improved speech and sound perception
2. Better chance of acquiring normal or near normal verbal skills
3. Improved sound localization and discrimination is possible
4. Tinnitus enhancement in patients with tinnitus prior to implantation

Correct answer: 4. Tinnitus enhancement in patients with tinnitus prior to implantation